Atropine poisoning causes all, except
1. Dilated pupil
2. Excitement
3. Excessive salivation
4. Hot skin

Correct answer: 3. Excessive salivation

Explanation: Ans. (C) Excessive salivation(Ref: KDT 8th/e p132)Atropine is an anticholinergic drug. Its toxicity causes:Dry mouth (and not excessive salivation)Hot skinDilated pupil and photophobiaExcitementFlushing of skinHypotension - cardiovascular collapseConvulsions and coma